Position in decorticate rigidity ?
1. Flexion of elbow and extension of knee
2. Extension of elbow and flexion of knee
3. Flexion of elbow and knee
4. Extension of elbow and knee

Correct answer: 1. Flexion of elbow and extension of knee

Explanation: Ans. is 'a' I,e,, Flexion of elbow and extension of kneeA decorticate rigidity is made by removing the whole cerebral cortex but leaving the basal ganglia intact.Decorticate rigidity is characterized by flexion of upper extremities at elbow and extension of lower extremities.The flexion is due to rubrospinal tract excitation of flexors in the upper extremities and hyperextension of the lower extremity has same mechanism as in decerebrate rigidity.